Neurotransmitter implicated in pleasure-seeking behavior
1. Dopamine
2. Serotonin
3. Nor epinephrine
4. GABA

Correct answer: 1. Dopamine

Explanation: Focus on Dopamine Scientists probed further to see if they could link the brain's reward systems to a particular set of chemical mechanisms. They soon found that blocking the neurotransmitter dopamine seems to reduce an animal's pleasure-seeking drives. For example, depleting dopamine in the brain causes animals to become oblivious to food and other normally pleasurable rewards. Ref: guyton and hall textbook of medical physiology 12 edition